A 2-year-old boy presented to the ER with stridor, shortness of breath and difficulty in swallowing. Patient also gave history of recurrent chest infections in the past for which the child was frequently hospitalized. Upper GI endoscopy was done and it was normal. Lab findings revealed normal studies. Chest x- ray What is the most likely diagnsosis: -
1. Achlasia cardia
2. Nutcracker esophagus
3. Diffuse esophageal spasm
4. Dysphagia lusoria

Correct answer: 4. Dysphagia lusoria

Explanation: This is a case of Dysphagia lusoria due to aberrant right subclavian artery. Chest x ray shows superior mediastinum widening. Barium study shows revealed persistent, smooth indentation of the posterior aspect of the upper thoracic esophagus at T4 level, suggesting external compression. CT shows the aberrant right subclavian artery compressing the posterior wall of esophagus.